Esophageal opening in the diaphragm is at the level of
1. T8
2. T10
3. T12
4. T6

Correct answer: 2. T10

Explanation: Oesophagus pierces diaphragm at the level of tenth thoracic vertebrae.